Regarding rheumatoid arthritis, all of the following statements are true except-
1. The cricoarytenoid joint may be involved
2. HLA-D4 and HLA-DR4 are positive in patients with seropositive rheumatoid arthritis
3. Subcutaneous nodules are more frequent in seronegative patients
4. Diffuse intestinal fibrosis and pneumonitis may occur

Correct answer: 3. Subcutaneous nodules are more frequent in seronegative patients

Explanation: Rheumatoid nodules occur almost exclusively in RF or ACPA positive patients, usually in extensor tendons . Theyare frequently asymptomatic but some may be complicated by ulceration and secondary infection . Ref Davidsons 23e p1023,1024